Which of the following produces dissociated anesthesia
1. Ketamine
2. Propofol
3. Thiopentone
4. Enflurane

Correct answer: 1. Ketamine

Explanation: Ans. is 'a' i.e. Ketamine Mechanism of action of ketamineKetamine dissociatesThalamus from limbic cortexThalamus relays sensory inputs from R.A.S. (reticular activating system) to limbic cortex. Clinically this produces dissociative anaesthesia. In this state the patient appears conscious (e.g. eye opening, swallowing, muscle contracture); but is unable to process or respond to sensory input.